Which component of the eye has maximum refractive index:
1. Anterior surface of the lens
2. Posterior surface of the lens
3. Centre of the lens
4. Cornea

Correct answer: 3. Centre of the lens

Explanation: C. i.e. Centre of the lens Highest refractive index is of lens nucleus coreQ (1.406) > anterior and posterior lens cortex forming anterior & posterior lens surface (1.386) > cornea (1.376) > aqueous and vitreous humor (1.336) > air (1). Gullstrand Schematic Eye Structure Surface Radius (mm) Position (mm) Thickness (mm) Refractive index Cornea Anterior 7.7 0.0 0.50 1.376 Posterior 6.8 0.50 Aqueous 3.10 1.336 Anterior lens cortex Anterior 10 3.60 0.546 1.386 Posterior 7.911 Lens core (nucleus) 4.146 2.419 1.46 Posterior lens cortex Anterior - 5.76 6.565 0.635 1.386 Posterior - 6.0 7.20 Vitreous 16.80 1.336 Retina -12.0 24.0